Evidence based therapy of Bell's palsy include(s):
1. Facial nerve massage
2. Facial nerve stimulation
3. Steroid
4. Acyclovir

Correct answer: 3. Steroid

Explanation: Answer- C. Steroid1. Medical treatmentPrednisolone (steroid) is the drug of choice and is started at initial visit. Initiation of therapy during first 24 hours of symptom confers a higher likelihood of recovery.Antiviral therapy (Acyclovir) is a newer adjunct in treating acute facial palsy of viral origin (both Bell's palsy and Ramsay hunt syndrome).Most surgeons these days advocate combination of steroids and antiviral drugs.